Twelve-year-old boy with vesicle over lip. Investigation to be done is:
1. KOH mount
2. Tzank smear
3. Diascopy
4. Woods lamp

Correct answer: 2. Tzank smear

Explanation: Ans. b. Tzanck smearHerpes labialis occurs due to HSV-I injection on Tzanck smear shows, multinucleated giant cells (MNGC).